Height in cms by cube root of body weight is known as:
1. Quetlet index
2. Brocas index
3. Ponderal index
4. Corpulence index

Correct answer: 3. Ponderal index

Explanation: Ponderal index